Arrange the following in sequence occurring in fed state 1. Insulin 2. GLUT-2 3. Uptake of glucose by skeletal muscles 4. GLUT-4
1. 2-1-3-4
2. 4-2-3-1
3. 2-1-4-3
4. 1-3-4-2

Correct answer: 3. 2-1-4-3

Explanation: During Fed state GLUT-2 = Insulin = GLUT-4 = Uptake of glucose by skeletal muscles